Carcinoma tongue less than 2 cm is treated by
1. Excision
2. Radiotherapy
3. Chemotherapy
4. Excision and Radiotherapy

Correct answer: 1. Excision

Explanation: Ans. is 'a' i.e., Excision